Communicable period of measles-
1. After 4 days of rash
2. 4 days before and 5 days after rash
3. Throughout disease
4. Only in incubation period

Correct answer: 2. 4 days before and 5 days after rash

Explanation: Ans. is 'b' i.e., 4 days before and 5 days after rash * The period of communicability for measles is 4 days before and 5 days after the appearance of rash.Period of communicability in important respiratory infections* Chicken pox: 1-2 days before to 4 - 5 days after appearance of rash.* Measles: 4 days before to 5 days after appearance of rash* Rubella: 7 days before symptoms to 7 days after appearance of rash.* Mumps: 4-6 days before symptoms to 7 days thereafter.* Influenza: 1-2 days before to 1 - 2 days after onset of symptoms.* Diphtheria: 14 - 28 days from disease onset.* Pertussis: 7 days after exposure to 3 weeks after paroxysmal stage.